The most common cause of proptosis in adults:-
1. Orbital cellulitis
2. Preseptal cellulitis
3. Thyroid eye disease
4. Capillary hemangioma

Correct answer: 3. Thyroid eye disease

Explanation: Most common cause of unilateral proptosis in children is orbital cellulitis and in adults is thyroid ophthalmopathy. Most common cause of bilateral proptosis in children is neuroblastoma and leukemia (chloroma) and in adults is thyroid ophthalmopathy.